For carcinoma breast, best chemotherapy regimen:-
1. Cyclophosphamide, adriamycin, 5-flurouracil
2. Methotrexate, cisplatin
3. Cisplatin, adrimaycin, steroid
4. Methotrexate, adriamycin, steroid

Correct answer: 1. Cyclophosphamide, adriamycin, 5-flurouracil

Explanation: For carcinoma breast, best chemotherapy regimen is cyclophosphamide, adriamycin, 5-flurouracil. For HER-2-positive breast cancer, adding trastuzumabQ to polychemotherapy is approved . New Drugs in CA Breast Ixabepilone Used for anthracycline & taxane resistant breast cancerQ Lapatinib Inhibitor of Her-2-neu & EGFR tyrosine kinase Second line Her-2-neu therapyQ Sunitinib Approved for advanced renal cancer & refractory metastatic breast cancerQ